In holiday heart syndrome, most common feature seen is:
1. Atrial fibrillation
2. Atrial flutter
3. Ventricular fibrillation
4. Ventricular flutter

Correct answer: 1. Atrial fibrillation

Explanation: Ans. Atrial fibrillation